Which of the following retinoids has major role to play in epithelial differenciation?
1. Retinal
2. Retinol
3. Retinoic acid
4. None of the above

Correct answer: 3. Retinoic acid

Explanation: Active Forms of Vitamin A Function Retinol Reproduction Retinal Vision Retinoic acid Epithelial differentiation, gene expression, growth and development Reference: Harper's Illustrated Biochemistry 31st edition